All of the following are immune complex diseases except-
1. Serum sickness
2. Farmer's lungs
3. SLE
4. Graft rejection

Correct answer: 4. Graft rejection

Explanation: Ans. is 'd' i.e., Graft rejectionGraft rejection is Type IV hypersensitivity